Which surgical procedure has the highest incidence of ureteric injury?
1. Vaginal hysterectomy
2. Abdominal hysterectomy
3. Wertheim's hysterectomy
4. Anterior colporraphy

Correct answer: 3. Wertheim's hysterectomy

Explanation: The Wertheim type of radical hysterectomy for cancer of the cervix is notorious for ureteric injury for which over-dissection of the ureter or accidental injury is most often responsible. Ref: Shaw's Gynaecology, 13th Edition, Pages 180-81; Dutta Gynecology, 4th Edition, Pages 391-92; Management of Common Problems in Obstetrics and Gynecology By T. Murphy Goodwin, Martin N. Montoro, Laila Muderspach, Subir Roy, 2010, Page 325; Clinical Gynecology By Bhasker Rao, 4th Edition, 1998, Page 239.